Kennedy phenomenon is seen in:
1. Road traffic accident
2. Gunshot injury
3. Burns
4. Contusion

Correct answer: 2. Gunshot injury

Explanation: Ans. Gunshot injury